Newborn loses how much weight in first week?
1. 5-10%
2. 1-2%
3. 10-20%
4. None

Correct answer: 1. 5-10%

Explanation: Ans. is 'a' i.e., 5 -10% Weight loss in neonateso It is expected that newborns will lose some weight in the first 5-7 days of life. A 5% weight loss is considered normal for a formula-fed newborn. A 7-10% loss is considered normal for breastfed babies. Most neonates should regain this lost weight by days 10-14 of life.